Which of the following is nephrotoxic
1. Halothane
2. Methoxyflurane
3. Ether
4. Cyclopropane

Correct answer: 2. Methoxyflurane

Explanation: Intrarenal metabolism of methoxyflurane and subsequent intrarenal production of fluoride ion is the significant cause of methoxyflurane renal toxicityIt can cause high output renal failure It was the most potent inhalation agent (least MAC), but not used now (now Halothane is most potent).It should not be used in closed circuit (reacts with rubber tubing of the closed circuit).(Refer: stoelting's pharmacology and physiology in anaesthetic practice, 5th edition, pg no.139)